All are macrolide antibiotics EXCEPT
1. Erythromycin
2. Roxithromycin
3. Neomycin
4. Clarithromycin

Correct answer: 3. Neomycin